Aminoglycoside affects ?
1. Outer hair cells in basal area
2. Inner hair cells in basal area
3. Outer hair cells in apical area
4. Inner hair cells in apical area

Correct answer: 1. Outer hair cells in basal area

Explanation: Ans. is 'a' i.e., Outer hair cells in basal area Cochlear damage with the use of aminoglycosides starts from the base and spreads to the apex; hearing loss affects the high frequency sound first, then progressively encompasses the lower frequencies. Outer hair cells are easily damaged by ototoxic drugs (aminoglycosides) and high intensity noise. Inner hair cells are more resistant.